Which of the following statements about cutaneous shunt~vessels is true?
1. Perform nutritive function
2. Have role in thermoregulation
3. Not under the control of autonomic nervous system
4. These vessels are evenly distributed throughout the skin

Correct answer: 2. Have role in thermoregulation

Explanation: These are low resistance connection between the arterioles and veins bypassing the capillariesAbundantly innervated by sympathetic nerve fibresEspecially found in skin of fingers, toes and earlobes where they are involved in the thermoregulationRef: Medical Physiology Indu Khurana 2015 edition page No: 237